Korotkoff sound is produced due to
1. Stream line flow of blood
2. Increase in viscosity of blood
3. Murmur
4. Turbulent flow of blood

Correct answer: 4. Turbulent flow of blood

Explanation: When the cuff pressure is great enough to close the artery during part of the arterial pressure cycle, a sound is then heard with each pulsation. These sounds are called Korotkoff sounds, named after Nikolai Korotkoff, a Russian physicianRef: Guyton and Hall textbook of medical physiology 13th edition. Page:182